Sentinel lymph node biopsy is done in all except
1. ca breast
2. ca penis
3. malignant melanoma
4. ca colon

Correct answer: 4. ca colon